Muscles are not involved in which glycogen storage disease?
1. I
2. II
3. III
4. IV

Correct answer: 1. I

Explanation: Type 1 gluconeogenesis : von gierkes disease Enzyme defect: glucose 6 phoshatase ; organs involved : liver, kidney,intestine, Charatestic features: fasting hypoglycemia,lactic acidemia,hyperacidosis,hyperlipidemia,hyperurecemia Ref: satyanarayana 4th edition pg: 269